Male downs syndrome genotype?
1. 46 XY
2. 47 XY
3. 45 XY
4. 47 XXY

Correct answer: 2. 47 XY

Explanation: Ans. is 'b' i.e., 47 XY In 95% of cases of Down syndrome-trisomy of 21:? Extra chromosome is of maternal in origin. 1% have mosaic with some all have 46 chromosome. 4% have robertsonian translocation. t (13 : 21) t (14 : 21) at (15 : 21) Very rarely long arm of chromosome 21 is triplicate (Partial trisomy).